At puberty true is ?
1. Decreased FSH and LH
2. Decreased GnRH
3. Increased progesterone
4. Decreased estrogen

Correct answer: 3. Increased progesterone

Explanation: Ans. is 'c' i.e., Increased progesterone Puberty is triggered by a release of gonadotropins (FSH and LH) from pituitary gland. These hormones act as signals to the gonads (testes/ovaries) that trigger the production of - i) Estrogen, progesterone and some testosterone in women. ii) Testosterone in men. Leptin facilitates release of gonadotropin releasing hormone (GnRH), thereby helping in pubertal onset.